In a patient suspected to be suffering from vesicoureteric reflex, which one of the following radiological investigations may confirm the diagnosis?
1. Intravenous urography
2. Micturating cystourethrography
3. Pelvic ultrasound
4. Antegrade pyelography

Correct answer: 2. Micturating cystourethrography